Anti-TNF alpha drugs are used for the treatment of all of following diseases except -
1. Systemic lupus erythematosis
2. Seronegative arthritis
3. Psoriatic arthritis
4. Crohn's disease

Correct answer: 1. Systemic lupus erythematosis

Explanation: Ans. is 'a' i.e., Systemic lupus erythematosis The major defect in systemic lupus erythematosis is under expression of TNFa, therefore anti TNF-a have no role in their managementAnti TNF-a drugs may be used in inflammatory bowel disease, arthritis and vasculitis as these diseases are caused by overexpression ofTumour necrosis factor (TNF-a).Use of anti TNF-a have been approved by FDA in these cases.Anti TNF-a drugs *Infliximab - FDA approved for RA and Crohn's diseaseAdalimumab - FDA approved for Rheumatoid arthritisEtanercept - FDA approved for Rheumatoid arthritis, juvenile rheumatoid arthritis and psoriasis.